Lecithin-Sphingomyelin ratio is used for
1. Lung maturity
2. Age of infant
3. Kidney maturity
4. Brain maturity

Correct answer: 1. Lung maturity

Explanation: Lecithin- Spingomyelin ratio is used for lung maturity. The results of this test are given as a ratio of lecithin to sphingomyelin. The range of results are: A ratio of less than 1.5:1. This means that your baby's lungs are immature. If born now, your baby may have breathing problems. A ratio between 1.5:1 and 1.9:1. This means that your baby may be at risk for immature lungs and breathing problems. A ratio of more than 2:1. This means that your baby has mature lungs. He or she is ready for life outside the uterus. Reference: GHAI Essential pediatrics, 8th edition